Characteristic congenital anomalies in the fetus of a diabetic women is/are :
1. Sacral agenesis
2. Hypoplastic lung
3. Cardiac anomalies
4. Anencephaly

Correct answer: 1. Sacral agenesis

Explanation: Sacral agenesis